Which one of the following is NOT a neuroparasite?
1. Taenia solium
2. Acanthamoeba
3. Naegleria
4. Trichinella spiralis

Correct answer: 4. Trichinella spiralis

Explanation: (D) Trichinella spiralis # Naegleria cause primary amebic meningoencephalitis> Acanthamoeba causes granulomatous Amoebic encephalitis.> Taenia solium causes neurocysticercosis.# Trichinella spiralis causes trichinellosis. While most infection are mild and asymptomatic, heavy infections can cause severe enteritis, periorbital edema, myositis and (infrequently) death.